Body mass index is also known as
1. Broca's index
2. Corpulence index
3. Quetelet's index
4. Lorentz's formula

Correct answer: 3. Quetelet's index

Explanation: (Quetelet index) (334 - Park 19th)* Body mass index (Quetelet's index) =Weight (kg)-------Height 2(m)* Rest index used for obesity are - Ponderal, Broca, Lorentz *s and corpulence index